65 yr old man presented with hemoptysis and stage 3 clubbing. The probable diagnosis of the patient is?
1. Non small cell lung Ca
2. Small cell cancer of lung
3. Tuberculosis
4. Sarcoidosis

Correct answer: 1. Non small cell lung Ca

Explanation: Ans. (a) Non small cell lung CaRef: Harrison 19th ed. / 510-511* Most common cause of hemoptysis is tuberculosis but at 65 years of age it is more likely a presentation of lung cancer.* Lung cancers can cause hemoptysis but clubbing is seen with non small cell cancer of the lung only. Remember that clubbing is absent in small cell cancer of the lung.